Increased intraocular tension is seen in all except:
1. Epidemic dropsy
2. Branch retinal vein occlusion
3. Malignant melanoma
4. Phthisis bulbi

Correct answer: 4. Phthisis bulbi

Explanation: Ans. (d) Pthisis bulbiOption b - Open Angle Glaucoma is the most frequent local alteration predisposing to RVO, its it comprises venous outflow by increasing IOP|Raised IOP causes compression of central retinal vein as it exits through the fenestrations of Lamina Cribrosa|Leads to thrombus formation distal to compression due to turbulent blood flow(Ref: Ryan's Retina 5/e, p. 441)Option c - 5% of eyes with intraocular tumours (malignant melanoma) develop a 2deg elevation of IOP due to trabecular block or angle closure (NVI)